Bilateral 'Spider leg sign' on IVP suggestive of :
1. Renal stone
2. Polycystic kidney
3. Hypernephroma
4. Hydronephrosis

Correct answer: 2. Polycystic kidney

Explanation: - Bilateral 'Spider leg sign' indicates Polycystic Kidney(ADPKD).